Inferior alveolar nerve block is given in
1. Retromolar area
2. Pterygomandibular space
3. Submandibular space
4. Suhmental space

Correct answer: 2. Pterygomandibular space